Thyroid hormones are transported into the cells by?
1. Transthyretin
2. MTC - 8
3. Transferrin
4. Ceruloplasmin

Correct answer: 2. MTC - 8

Explanation: Ans. is 'b' i.e., MTC - 8Ref. Textbook of clinical endocrinology 4n/e p. 4I4)Transport across the target cell membrane is affected by a number of transport proteins including monocarboxylate transporter 8 (MTC 8) in the body and organic anion transporter polypeptide 1C1 (OATP1C1 ) in the brain.